Hippocampus is connected to hypothalamus by which structure?
1. Fornix
2. Mammilary bodies
3. Median forebrain bundles
4. Septal nuclei

Correct answer: 1. Fornix

Explanation: Fornix is a large bundle of mainly projection fibres which connect the hippocampus with the mammillary body. It constitutes the sole efferent system of the hippocampus. *The medial forebrain bundle (MFB), is a part of reward system, containing fibers from the basal olfactory regions, periamygdaloid region septal nuclei, as well as fibers from ventral tegmental area. (Reference: Vishram Singh textbook of clinical neuroanatomy Second Edition page 231)